Defective proteins are degraded after attaching covalently to -
1. Clathrin
2. Pepsin
3. Laminin
4. Ubiquitin

Correct answer: 4. Ubiquitin

Explanation: Ans. is 'd' i.e., Ubiquitin o Defective proteins are often marked for destruction by ubiquitination (attachment of small, highly conserved protein called ubiquitin). Such proteins are rapidly degraded by proteosome, which is a macromolecular, ATP dependent, proteolytic system located in the cytosol.